Parotid duct opens into:
1. First mandibular molar
2. First maxillary pre-molar
3. Second mandibular molar
4. Second maxillary molar

Correct answer: 4. Second maxillary molar

Explanation: Ans. D Second maxillary molarRef: Gray's Anatomy 41st ed. P 411, 505Parotid Duct/Stensen Duct* It is a 5 cm long duct of parotid gland that originates from anterior border of upper part of parotid gland by the confluence of two main tributaries.* Course: It then passes horizontally across masseter, midway between angle of mouth and zygomatic arch. Down the course it also crosses through buccal fat and buccinators muscle opposite the crown of upper third molar tooth.* It then opens on a small papilla opposite the second upper molar crown.